Hamartomatous lung tissue is?
1. Hypoplasia of lung
2. Congenital cyst
3. Lobar sequestration
4. Congenital cystic adenomatoid malformation

Correct answer: 4. Congenital cystic adenomatoid malformation

Explanation: Ans. (d) Congenital cystic adenomatoid malformation(Ref: Robbins 9th/pg 670; 8th/pg 679)Congenital cystic adenomatoid malformation (CCAM): Hamartomatous Q or dysplastic lung tissue, usually confined to one lobe.